Which of the following is an example for facultative heterochromatin?
1. Centromere
2. Telomere
3. Barr body
4. All of the above

Correct answer: 3. Barr body

Explanation: Heterochromatin is of two types: Constitutive heterochromatin Facultative heterochromatin Centromeric DNA Telomeric DNA Barr body (condensed X-chromosome) Condensed, inactive Decondenses during gametogenesis